False about hartnup's disease
1. Defect in neutral aminoacid transport
2. Intellectual disability is the common presentation
3. Most children are asymptomatic
4. Photosensitivity

Correct answer: 2. Intellectual disability is the common presentation

Explanation: It is a rare inborn error of metabolism with autosomal recessive inheritance. Neutral amino acids, including tryptophan, are not transported across the brush border epithelium of the intestine and kidneys, This results in deficiency of synthesis of nicotinamide It causes a photo-induced pellagra-like syndrome. Cutaneous signs precede neurologic manifestations Eczematous, occasionally vesiculobullous eruption noted on the face and extremities in a glove-and-stocking photodistribution. Neurologic symptoms are fully reversible. Administration of nicotinamide and protection from sunlight improves both cutaneous and neurologic manifestations.